In epidural lumbar puncture, all structure are pierced except -
1. Posterior longitudinal ligament
2. Ligamentum flavum
3. Interspinous ligament
4. Supraspinous ligament

Correct answer: 1. Posterior longitudinal ligament

Explanation: Structure pierced during lumbar puncture (from outside in) are :-

Skin → Subcutaneous tissue → Supraspinous & interspinous ligament → Ligament flavum → Dura matter → Arachnoid matter.